Pharmacovigilence is done for:
1. Pharmacy companies
2. To monitor potency and efficacy
3. Monitoring adverse effects of drugs
4. Monitoring ethical drug

Correct answer: 3. Monitoring adverse effects of drugs

Explanation: Ans. (c) Monitoring adverse effects of drugs* Pharmacovigilance is the science and activities relating to the detection assessment, understanding and prevention of adverse effects or any other possible drug- related problems.* Recently, its concerns have been widened to include herbals, traditional and complementary medicines, blood products, biologicals, medical devices and vaccines.